Post ovulation, the cervical mucus :
1. Shows pattern on drying
2. Is thick
3. Is thin and cellular
4. Is thin and alkaline

Correct answer: 2. Is thick

Explanation: vials thick